Drug of choice for prophylaxis of acute mountain sickness is?
1. Diltiazem
2. Digoxin
3. Dexamethasone
4. Acetazolamide

Correct answer: 4. Acetazolamide

Explanation: DOC for acute mountain sickness are Carbonic anhydrase inhibitors like Acetazolamide. BEST treatment is to descent down because it occurs due to decreased pO2 at high altitudes. DOC for motion sickness is Hyoscine.